Which of the following stain is used for Acidic mucin?
1. Alcian blue
2. PAS
3. Masson's trichrome stain
4. PTAH

Correct answer: 1. Alcian blue

Explanation: (a) Alcian blueRef: Quick Reference Handbook for Surgical Pathologists, 2011, pg. 69-74* Alcian blue stain is used for acidic mucin.* Acid mucins are present in goblet cells and esophageal submucosal glands. They are Alcian Blue (AB.-positive (blue color).* Neutral mucins are present in gastric foveolar cells, duodenal Brunner glands and prostate glands. They are PAS-positive (pink color).* Acid mucins are further subdivided into 2 groups:0 Sialomucins are the simplest form; they are present in small and large bowel detected at pH2.5 of Alcian blue.0 Sulfomucins are the more complex sulfated forms, which are present only in the large bowel detected at pH2.5 and 0.5 of alcian blue.* Myxoid Material /Stromal mucin is Negative for mucicarmine and PAS, while positive for alcian blue (Hyaluronidase-sensitive) and Hale's colloidal iron.* PAS stains glycogen and mucin; also stains basement membranes and fungi.* Masson Trichrome can be used to differentiate collagen from smooth muscle . It is routine stain in evaluation of liver and kidney diseases.* PTAH (Phostphotungstungstic Acid-Hematoxylin) is used to stain Muscle cross-striations, fibrin and Nemaline rods, present in some skeletal muscle diseases.